True regarding opioid induced seizures -
1. They occur at therapeutic doses
2. Children are more susceptible
3. Seizures occur only with g-opioid agonists
4. Diazepam is the drug of choice

Correct answer: 2. Children are more susceptible

Explanation: Ans. is 'b' i.e., Children are more susceptible Opioid induced seizures o In animals high doses of morphine and related opioids can produce convulsions. o Morphine excites hippocampal pyramidal cells o Selective 8-agonists produce similar effect. o These action may contribute to seizures that are produced by some agents at doses only moderately higher than those required for analgesia, esp. in children. However with most opioids seizures occur only at doses far in excess of therapeutic dose. o Seizures are not seen when potent i.t-agonists are used. o Naloxone is potent drug for treatment of opioid poisoning. o Anticovulsants (like diazepam) are not always effective in supressing opioid induced seizures.